Which of the following is not true regarding delusional disorder
1. Social isolation
2. Occurs at early age
3. Sensory impairment
4. Recent immigration

Correct answer: 2. Occurs at early age

Explanation: Risk factors of delusional disorder:- * Advancing age * Sensory loss * Recent immigration * Social isolation * Family history * Personality traits Ref:- Kaplan & Sadock's Synopsis of Psychiatry 10th edition; Pg num:- 432